Mechanism of action of quinolones is by?
1. Inhibiting DHFRase
2. Inhibiting DNA gyrase
3. Inhibiting protein synthesis
4. Inhibiting cell wall synthesis

Correct answer: 2. Inhibiting DNA gyrase